The inferior oblique muscle is supplied by:
1. Oculomotor nerve
2. Trochlear
3. Trigeminal
4. Abducens

Correct answer: 1. Oculomotor nerve

Explanation: Ans: a (Oculomotor nerve) Ref: Chaurasia, 4 ed, p. 112,113A simple one! All external muscles of the eye are supplied by oculomotor nerve except the lateral rectus (abducent nerve) and the superior oblique (by trochlear).Remember 3The inferior oblique is fleshy throughout.In the primary position of the eye, its function is:elevation,abduction andextortion.Actions of extraocular musclesMuscleprimarysecondarytertiaryMRadduction LRabduction SRelevationintorsionadductionIRdepressionextorsionadductionSOintorsiondepressionabductionIOextorsionelevationabductionSome useful mnemonics:All superiors are intorters. So inferiors are extortersAll recti are adductors. So obliques are abductors Also remember: The first muscle to be affected in thyroid ophthalmopathyThe last muscle to be affected in retrobulbar block- inferior rectus-superior oblique